What is deposited in band keratopathy-
1. CaSO4
2. CaPO4
3. MgSO4
4. MgPO4

Correct answer: 2. CaPO4

Explanation: Ans. is 'b' i.e., CaPO4 Band Keratopathy* Band keratopathy is characterized by the deposition of calcium and phosphorus salts (especially hydroxyapatite) in a band-like pattern in the anterior layers of the cornea. The keratopathy is usually limited to the interpalpebral area. Symptoms include irritation, injection, and blurring of vision.* Causes of band keratopathy are:i) Idiopathic and age relatedii) Chronic eye diseases (most common cause)Chronic Uveitis like JRA & sarcoidosis; chronic glaucoma; chronic keratitis.iii) Conditions associated with hypercalcemia : - Sarcoidosis, Hyperparathyroidism, Vitamin D intoxication, metastatic neoplasm to bone, CRF (secondary hyperparathyroidism).iv) Local corneal damage : - Intraocular silican IOL.